Best for unruptured ectopic pregnancy is -
1. Per abdominal US
2. HCG
3. Trans vaginal USG
4. Amniocentesis

Correct answer: 3. Trans vaginal USG